Matrix band is difficult to place on -- teeth
1. MO 25
2. DO 37
3. DO 24
4. MO 24

Correct answer: 4. MO 24